Ollendroff sign in which stage of syphilis?
1. Primary syphilis
2. Secondary syphilis
3. Latent syphilis
4. Tertiary syphilis

Correct answer: 2. Secondary syphilis

Explanation: Buschke Ollendroff sign is seen in 2o syphilis. 2o syphilis: All kinds of lesions can be seen except vesiculobullous lesions Pigmented lesions on palm & sole. Shows deep dermal tenderness k/a Buschke Ollendroff sign. Condyloma lata - moth eaten alopecia are seen. Extra edge on Secondary syphilis Lues maligna or malignant syphilis or ulceronodular syphilis. Syphilitic alopecia- Patchy hair loss, irregularly thinned,'moth eaten' patches of semi-baldness. Macular syphilide -Symmetrical, coppery red, round and oval spots.